Which of the following is used for functional reline method of complete dentures?
1. Short term denture liners
2. Long term denture liners
3. Lab processed denture liners
4. None of the above

Correct answer: 1. Short term denture liners

Explanation: Short term denture liners also called as tissue conditioners, are highly plasticized acrylic resins, that are used for treatment of abused tissues. Functional reline method employs use of tissue conditioners.